Drug of choice for myoclonic seizures is ?
1. Valproic acid
2. Phenytoin
3. Ethosuximide
4. Carbamazepine

Correct answer: 1. Valproic acid

Explanation: Ans. is 'a' i.e., Valproic acid DOC for generalized tonic clonic seizure (Grand mal), absence seizure (petit mal), Atonic seizure, myoclonic epilepsy -4 valproate. 3 DOC for partial seizure -4 carbamazepine / oxcarbazepine LI DOC for status epilepticus lorazepam DOC for febrile seizures -4 Rectal Diazepam DOC for seizure of eclampsia Magnesium sulfate. DOC for infantile spasm Vigabatrin. J DOC for myoclonic epilepsy Valproic acid.